Fetal tachycardia is defined as heart rate more than___
1. 140
2. 160
3. 180
4. 200

Correct answer: 2. 160

Explanation: Ans. B. 160. (Ref Williams obstetrics 20th/pg. 1428; Danforth9s obstetrics and gynecology - pg.157)Fetal bradycardia is defined as fetal heart rate <110 bpm; fetal tachycardia is defined as fetal heart rate >160 bpmThe normal FHR baseline ranges from 120 to 160 beats per minute.Foetal tachycardia is defined as a baseline heart rate greater than 160 bpm and is considered a nonreassuring pattern.Fetal Bradycardia is defined as an abnormally low baseline FHR (<110 beats per minute). Bradycardia is a baseline fetal heart rate under 120 beats/min that lasts 15 minutes or longer. Bradycardias are defined as 80 to 100 beats/min, and severe bradycardias are less than 80 beats/min,